Which of the following is meant by the term 'Sin of Gomorrah'?
1. Oral sex
2. Anal sex
3. Bestiality
4. Lesbianism

Correct answer: 1. Oral sex

Explanation: Oral sex is also called coitus per os or Sin of Gomorrah or buccal coitus. According to Bible the sin was common in a town called: Gomorrah, so the name. It is included in Unnatural sexual offences Act (S.377 IPC). Ref: The Essentials of Forensic Medicine and Toxicology by Dr. K. S. Narayan Reddy, 27th edition, Page 365.